Male contraceptive pill is
1. Quinesterol
2. Gossypol
3. Saheli
4. MALA - N

Correct answer: 2. Gossypol